Eosinophilic pustular folliculitis a rare form of folliculitis that is seen with increased frequency in patients with ?
1. ABPA
2. Asthma
3. Leukemia cutis
4. HIV infection

Correct answer: 4. HIV infection

Explanation: Eosinophilic pustular Folliculitis is most prevalent in HIV infection and is seen in ~20% of patients. m/c in patients with CD4+ T cell counts <200 cells/mL Presents as multiple, urticarial perifollicular papules that may coalesce into plaque like lesions. Skin biopsy reveals an eosinophilic infiltrate of the hair follicle, which in certain cases has been associated with the presence of a mite. Patients have an elevated serum IgE levels and may respond to treatment with topical antihelminthics.